Figure of 8 configuration on chest x-ray is seen in ?
1. TOF
2. ASD
3. TAPVC
4. VSD

Correct answer: 3. TAPVC

Explanation: Ans. is 'c' i.e., TAPVC X-ray findings of TAPVC o Cardiomegaly o Plethoric lung fields o Snowman or figure of '8' configuration --> In supracardiac TAPVC. o Ground glass appearance of lung In obstructive TAPVC. Clinical manifestations of TAPVC 1)Nonobstructive TAPVC --> Patients presents with mild cyanosis and CHF at 6-8 weeks. 2)Obstructive TAPVC Paients presents with severe cyanosis and CHF within first week. EGG o Right axis deviation with right ventricular hypertrophy. o In obstructive TAPVC pulmonale.